Short acting mydriatic used in fundoscopy is:
1. Atropine
2. Homatropine
3. Cyclopentolate
4. Tropicamide

Correct answer: 4. Tropicamide